In preparing an endodontically treated tooth for receiving a cast post, the minimal amount of gutta 
percha to be maintained for proper apical seal is
1. 1 mm
2. 8 mm
3. 4 mm
4. 0 mm

Correct answer: 3. 4 mm